TheLab investigation of a patient shows excess T4 and decreased TSH. Which of the following is the most likely diagnosis-
1. Grave's disease
2. Hashimoto's disease
3. Pituitary Failure
4. Hypothalamic failure

Correct answer: 1. Grave's disease

Explanation: In Graves' disease, your thyroid-stimulating hormone (TSH) level will probably be very low because the pituitary gland will try to compensate for the excess T3 and T4 hormones in the blood. It'll stop producing TSH in an attempt to stop production of the thyroid hormones. Ref - pubmed.com